Vitamin K dependent clotting factor is
1. VII
2. I
3. XI
4. XII

Correct answer: 1. VII

Explanation: Vitamin K dependent clotting factors (VKCF) are clotting factors II (prothrombin), VII (Proconvertin), IX (Christmas factor), X (Stuart Prover Factor), protein C, protein S and protein Z.